Avascular necrosis of hip, investigation of choice -
1. MRI
2. USG
3. CT
4. XRAY

Correct answer: 1. MRI

Explanation: Ans. is 'a' i.e., MRI o The first X-ray signs probably appear only 6-9 months after the occurrence of bone deatho MRI shows characteristic changes in the marrow long before the appearance of X-ray signs,o Therefore MRI is the most reliable way of diagnosing marrow changes and bone ischaemia (Avascular necrosis) at a comparatively early stage,o Investigation of choice for P1D at any level is MRI.Investigations in musculoskeletal systemo Investigation of choice for AVN Hip - MRIo Best initial test for osteomyelitis - Plain x-rayo Best second line test for osteomyelitis (if there is high clinical suspician and x-ray is negative) - MRIo Most accurate diagnostic test for osteomyelitis - Bone biopsy and culture,o Best view for scaphoid fracture - Oblique (scaphoid) view of wristo Best view forCl-C2 vertebrae & junction -Open mouth odontoid (Pegs) view ,o Investigation of choice for ACL & PCL injury- -MRIo Investigation of choice to detect calcification - CT scano Investigation of choice for prolapsed intervertebral disc - MRIo Investigation of choice for spinal tuberculosis - MRIo Investigation of choice for traumatic paraplagia - MRIo Gold standard and investigation of choice for osteoporosis - Dual energy x-ray absorptiometry (DEXA).